Commonest site of tuberculosis of the intestines ?
1. Stomach
2. Ileum
3. Jejunum
4. Colon

Correct answer: 2. Ileum

Explanation: Ans. is 'b' i.e., iletun